What are the EEG waves record for parietooccipital region with subject awake & eye closed?
1. Alpha waves
2. Beta waves
3. Delta waves
4. Theta waves

Correct answer: 1. Alpha waves

Explanation: In adult humans who are awake but at rest with the mind wandering and eyes closed the most prominent component of EEG is a fairly regular pattern of waves at a frequency of 8-13 Hz and amplitude of 50-100uV, this pattern is the alpha rhythm. Ref: Ganong's review of medical physiology; 23rd edition; pg:233